EBV (epstein barr virus) causes all except:
1. Glandular fever
2. Burkitt's lymphoma
3. Pancreatic carcinoma
4. Nasopharyngeal carcinoma

Correct answer: 3. Pancreatic carcinoma

Explanation: Ans. C: Pancreatic carcinoma Epstein-Barr virus (EBV) causes infectious mononucleosis as a primary disease. The virus infects more than 90% of the average population and persists lifelong in peripheral B-lymphocytes. The virus is produced in the parotid gland and spread the oral route. Serology suggests that the Epstein-Barr virus might be involved in the causation of two neoplastic diseases of humans: African Burkitt's lymphoma and nasopharyngeal carcinoma. Whereas the development of the lymphoma has an even better linkage with chromosomal rearrangements, nasopharyngeal carcinoma shows a unique association with Epstein-Barr virus It is also associated with causation of glandular fever and lymphoma